Excessive eating of non nutritive substances is called
1. PICA
2. Anorexia nervosa
3. Prune belly disease
4. Dyslexia

Correct answer: 1. PICA

Explanation: Ans. is 'a' i.e., PICAPica involves repeated or chronic ingestion of non-nutritive substances, which includes plaster, charwal, clay, wool, ashes, patent & earth